Which of the following primary produces a Radio-opaque secondary in bone?
1. Prostate
2. Thyroid
3. Kidney
4. Breast

Correct answer: 1. Prostate

Explanation: Ans. Prostate